Which of the following is used (injectable form) by prostitutes for constriction of vagina:
1. Strychnine
2. Cocaine
3. Dhatura
4. Aconite

Correct answer: 2. Cocaine

Explanation: Ans. B i.e. Cocaine